Following is called "gatekeeper of colonic neoplasia"
1. APC
2. SMAD2
3. PTEN
4. STK11

Correct answer: 1. APC

Explanation: Adenomatous polyposis coli (APC) gene Chr 5q21 Gate-keeper of colonic neoplasia Component of WNT signalling pathway Controls cell fate, polarity and adhesion during embryonic devt Controls oncogenic effect of b catenin Germline LOF mutation - Familial Adenomatous Polyposis Colon Cancer (AD) Other tumours - hepatoblastoma, HCC